Cholesterol Stone made up of
1. Amorphous Cholesterol Monohydrate
2. Crystalline Cholesterol Monohydrate
3. Cholesterol Polyhydrate
4. Cholesterol with Calcium Palmitate

Correct answer: 2. Crystalline Cholesterol Monohydrate

Explanation: Composition of Each Stones: - Cholesterol Stones: - * Cholesterol Stones are formed by Nucleation of Cholesterol Monohydrate crystals from multilamellar vesicles. * MC type of Gall stone in Western Countries Pigment Stones: - * Contains < 30% Cholesterol * Brown Pigment Stone- Composed of Calcium Bilirubinate, Calcium Palmitate and Calcium Stearate as well as Cholesterol. * Black Pigment Stone- Composed of Largely Insoluble Bilirubin pigment Polymer mixed with Calcium Phosphate and Calcium Bicarbonate. Ref:- Bailey and Love 27th Edition; Pg num:- 1198